Amino acid used in Carnitine synthesis is which of the following?
1. Alanine
2. Lysine
3. Arginine
4. Tyrosine

Correct answer: 2. Lysine

Explanation: Carnitine is a quaternary ammonium compound biosynthesized from the amino acids lysine and methionine. In living cells, it is required for the transport of fatty acids from the cytosol into the mitochondria during the breakdown of lipids for the generation of metabolic energy. It is widely available as a nutritional supplement.